Organism involved in smooth surface caries is
1. Streptococcus mutans 2. Actinomyces viscosus
3. Lactobacillus 4. Campylobacter
1. only 1
2. only 2
3. 1 and 3
4. All of the above

Correct answer: 1. only 1